Load bearing fixation device is:
1. Reconstruction plate.
2. Lag screw.
3. Champy's plate.
4. All of the above.

Correct answer: 1. Reconstruction plate.